Incidence can be calculated by -
1. Prospective study
2. Retrospective study
3. Case control study
4. Cross-sectional study

Correct answer: 1. Prospective study

Explanation: Ans. is 'a' i.e., Prospective study